Which one of the following drugs is not used in the treatment of mycobacterium avium intercellular infection cla
1. Claruthromycin
2. Eflornithine
3. Ethambutol
4. Rifabutin

Correct answer: 2. Eflornithine

Explanation: Refer KDT 6/e p750. Eflornithine is used for the treatment of some cases big trypanomiasis. It is also used topically in women to delay regrowth of facial hair following depilation